Vitamin deficiency associated with increase xanthurenic acid excretion in urine?
1. Thiamine
2. Pyridoxine
3. Ascorobic acid
4. Niacin

Correct answer: 2. Pyridoxine

Explanation: Ans. B. Pyridoxine. (Ref. Harper, Biochemistry, 26th ed., 258)Harper, Biochemistry, 26th ed., 258 # Conversion of tryptophan metabolite 3 hydroxy kinurenine to 2 hydroxy antranilate is impaired in vitamin B6 deficiency; hence large amount of xa nth in urate is formed.PYRIDIOXINE DEFICIENCYDeficiency# Convulsions,# hyperirritability (deficiency inducible by INH and oral contraceptives),# peripheral neuropathy.FunctionA. Converted to pyridoxal phosphate,B. A cofactor used in:# 1. transamination (e.g., ALT and AST),# 2. decarboxylation reactions,# 3. glycogen phosphorylase, and# 4. heme synthesis.C. Required for the synthesis of niacin from tryptophan.Pyridoxine responsive diseases# Sideroblastic anaemia,# Xanthurenic aciduria,# Homocystinuria,# OxaluriaComposition of the Lipoproteins in Plasma of Humans. Composition LipoproteinSourceDiameter (nm)Density (g/mL)Protein (%)Lipid (%)Main Lipid ComponentsApolipoproteinsChylomicronsIntestine90-1000<0.951-298-99TriacylglycerolA-I, A-II, A-IV,1 B-48, C-I, C-II, C-III, EChylomicron remnantsChylomicrons45-150< 1.0066-892-94Triacylglycerol, phospholipids, cholesterolB-48, EVLDLLiver (intestine)30-900.95-1.0067-1090-93TriacylglycerolB-100, C-I, C-II, C-IIIIDLVLDL25-351.006-1.0191189Triacylglycerol, cholesterolB-100, ELDLVLDL20-251.019-1.0632179CholesterolPhospholipids, cholesterolB-100A-I, A-II, A-IV, C-I, C-II, C-III, D,2 EHDLLiver, intestine,VLDL, chylomicrons HDL1 20-251.019-1.0633268 hdl2 10-201.063-1.1253367 hdl3 5-101.125-1.2105743 Pre-HDL3 <5> 1.210 A-IAlbumin/ free fatty acidsAdipose tissue > 1.281991Free fatty acids